Ca ovary with left supraclavicular LN, stage is-
1. IV
2. III
3. H
4. I

Correct answer: 1. IV

Explanation: Ans-A i.e., IV TNM and FIGO Classifications for Ovarian CancerPrimary' tumor (T) TNMFIGO TX Primary tumor cannot be assessedT0 No evidence of primary tumorTlITumor limited to the ovaries (1 or both)TlaIATumor limited to 1 ovary; capsule intact, no tumor on ovarian surface; no malignant cells in ascites or peritoneal washingsT1bIBTumor limited to both ovaries; capsules intact, no tumor on ovarian surface; no malignant cells in ascites or peritoneal washingsT1c1CTumor limited to I or both ovaries with any of the following: capsule ruptured, tumor on ovarian surface, malignant cells in ascites or peritoneal washingsT2IITumor involves 1 or both ovaries with pelvic extensionT2aIIAExtension and/or implants on the uterus and/or tube(s); no malignant cells in ascites or peritoneal washingsT2bIIBExtension to other pelvic tissues; no malignant cells in ascites or peritoneal washingsT2cIICPelvic extension (T2a or T2b) with malignant cells in ascites or peritoneal washingsT3IIITumor involves l or both ovaries with microscopically confirmed peritoneal metastasis outside the pelvisT3aIIIAMicroscopic peritoneal metastasis beyond the pelvis (no macroscopic tumor)T3bIIIBMacroscopic peritoneal metastasis beyond the pelvis 2 cm or less in greatest dimensionT3cmeMacroscopic peritoneal metastasis beyond the pelvis > 2 cm in greatest dimension and/or regional lymph node metastasisRegional lymph nodes (N)TNMFIGO NX Regional lymph nodes cannot be assessedN0 No regional lymph node metastasisN1IIICRegional lymph node metastasisDistant metastasis (M)TNMFIGO MO No distant metastasisMlIVDistant metastasis (excludes peritoneal metastasis)Notes:o The presence of nonmalignant ascites is not classified. The presence of ascites does not affect staging unless malignant cells are present.o Liver capsule metastasis is T3/stage III; liver parenchyma] metastasis, Ml/stage IV. Pleural effusion must have positive cytology for Ml/stage IV